Middle meningeal artery enters the middle cranial fossa through:
1. Foramen ovale.
2. Foramen spinosum.
3. Foramen rotandum.
4. Foramen lacerum.

Correct answer: 2. Foramen spinosum.